Triple test includes all EXCEPT -
1. Inhibin A
2. AFP
3. HCG
4. UE3

Correct answer: 1. Inhibin A

Explanation: (A) (Inhibin A) (106 - Dutta 7th)Inhibin A is a dimeric glycoprotein. It is produced by the corpus luteum and the placenta.* Serum levels of inhibin A is raisedin women carrying a fetus with Down's syndrome.Acetvle choline esterase (AChE) Amniotic fluid AChE level is elevated in most cases of open neural tube defects**. It has got better diagnostic value than AFP.Pregnancy associated plasma protein - A (PAPPA) is secreted the syncytiotrophoblast. It act as a immune suppressant in pregnancy.(A) QUADRUPLE TEST|MSAFP(Second trimester screeting|UE3 (Unconjugated estriol)15 - 18 weeks can defect|Total hCGtrisomy 21 in 80% of affected pregnancies respectively)|Inhibin A(B) TRIPLE TEST|MSAFP(Second trimester screeting)|UE3 |Total hCGFirst trimester screening (| hCG, | MSAFP, | PAPP) can detect trisomy 21 in 85% with a false positive rate of 5%.